A pregnant woman from Bihar presents with hepatic encephalopathy. The likely diagnosis:
1. Hepatitis E
2. Hepatitis B
3. Sepsis
4. Acute fatty liver of pregnancy

Correct answer: 1. Hepatitis E

Explanation: MC cause of fulminant hepatitis in pregnancy - Hepatitis E.
MC cause of hepatic encephalopathy in pregnancy is - Hepatitis E.